All of the following are intermediate-duration Non depolarizing NMB except-
1. Pancuronium
2. Vecuronium
3. Rocuronium
4. Atracurium

Correct answer: 1. Pancuronium

Explanation: Non depolarizing muscle relaxants are classified according to their structure and duration of action as: Stucture Clinical duration Long acting (>50 min) Intermediate (20-50 min) Short (15-20 min) Ultra-short (<10-12 min) Pancuronium Vecuronium Steroidal Pipecuronium Rocuronium d-Tubocurarine Benzyliso- quinolinium Metacurine Atracurium Doxacurium Cis-atracurium Mivacurium Onium chlorofumarate Gantacurium Phenolic ether Gallamine